During exploration, a patient is found to have a tumor in the thymus that is invading the pericardium and surrounding the left and right phrenic nerves. The pathologist says that appears on frozen section to be a benign thymoma. The surgeon now should:
1. Repeat frozen section
2. Attempt as complete a resection as possible
3. Close the chest and plan irradiation therapy
4. Close the chest and await permanent sections

Correct answer: 2. Attempt as complete a resection as possible

Explanation: Since the tumor is invading the pericardium and surrounding the left and right phrenic nerve maximum amount of tumor must be resected There is no advantage of frozen section